Sacral promontory is the landmark for
1. Origin of superior mesenteric artery
2. Termination of presacaral nerve
3. Origin of inferior mesenteric artery
4. Origin of Celiac artery

Correct answer: 2. Termination of presacaral nerve

Explanation: The superior hypogastric plexus or the presacral nerve lies in front of the bifurcation of the abdominal aorta and the body of fifth lumbar vertebra just below which lies sacral promontery.Origin of inferior mesenteric artery is in front of L3.Origin of superior mesenteric artery is in front of L1.Reference: Textbook of anatomy,Abdomen and Lower limb, Vishram Singh, 2nd editon, page no.162,199,160